The attachment of the Actinomyces species to the tooth surface is facilitated by:
1. Fimbriae.
2. Cillia
3. Flagella.
4. Capsule.

Correct answer: 1. Fimbriae.